Which of the following phospholipid is predominantly found in the inner mitochondrial membrane?
1. Cardiolipin
2. Cephalin
3. Lecithin
4. Sphingomyelin

Correct answer: 1. Cardiolipin

Explanation: Cardiolipin: Diphosphatidyl glycerol i.e. 2 phosphatidic acid moieties attached to glycerol. Found in inner mitochondrial membrane. Physiological role: Increases the efficiency of the oxidative phosphorylation by acting as proton trap. Involved in signalling of apoptosis (programmed cell death). Anticoagulant Pathological role: Barth syndrome - defective biosynthesis of Cardiolipin. Antiphospholipid syndrome thrombotic condition leading to abortion. Anti-cardiolipin antibodies are found.